Which of the following types of anemia is associated with a Raised MCV and Normal MCHC -
1. Sideroblastic anemia
2. Vitamin B12 and Folic acid deficiency
3. Beta thalassemia
4. Iron deficiency anemia

Correct answer: 2. Vitamin B12 and Folic acid deficiency